Dying declaration comes under:
1. Section 33 IEA
2. Section 32 IEA
3. Section 60 IEA
4. 291 CrPC

Correct answer: 2. Section 32 IEA

Explanation: Section 32 IEA